Zinc finger is :
1. Nuclear receptor
2. Membrane receptor
3. Receptor associated kinase
4. All

Correct answer: 1. Nuclear receptor

Explanation: A i.e. Nuclear receptor